Rectal stricture is a common manifestation of -
1. Syphilis
2. Lymphogranuloma inguinale
3. Granuloma inguinale
4. Chancroid

Correct answer: 2. Lymphogranuloma inguinale